In the majority of situations, the first deciduous tooth to erupt is the:
1. Mandibular central incisor
2. Mandibular first molar
3. Maxillary central incisor
4. Maxillary second molar

Correct answer: 1. Mandibular central incisor